Ewing's tumour arises from-
1. Mesothelial cell
2. Endothelial cell
3. Squamous cell
4. None of the above

Correct answer: 4. None of the above

Explanation: Ans. is 'd' i.e., None of the above o Ewig's sarcoma arises from primitive neuroectoderm.